Missed IUD (IUCD) is recognized by
1. X-Ray
2. USG
3. Barium meal
4. CT Scan

Correct answer: 2. USG

Explanation: B i.e. USG